Recommended anticopper drug for Wilson's disease in paediatric patients is:
1. Trientine
2. Zinc
3. Tetrathiomolybdate
4. d-penicillamine

Correct answer: 2. Zinc

Explanation: Recommended Anticopper Drugs for Wilson's Disease: Disease status DOC Hepatitis/cirrhosis without decompensation Zinc Mild hepatic decompensation Trientine and Zinc Moderate hepatic decompensation Trientine and Zinc Severe hepatic decompensation Liver transplantation Pediatric Zinc Pregnant Zinc Reference: Harrisons Principles of Internal Medicine, 18th Edition, Page 3189